The contact area on the distal surface of a maxillary
first premolar should be placed in:
1. Middle 3rd of proximal surface with lingual embrasure greater than the facial embrasure
2. Occlusal 3rd of proximal surface with the lingual embrasure greater than facial embrasure
3. Occlusal 3rd of proximal surface with facial embrasure greater than lingual embrasure
4. Middle 3rd with facial embrasure greater than the lingual embrasure

Correct answer: 1. Middle 3rd of proximal surface with lingual embrasure greater than the facial embrasure